Increased anion gap metabolic acidosis is seen in all except:
1. Starvation
2. Salicylate poisoning
3. Lactic acidosis
4. Diarrhoea

Correct answer: 4. Diarrhoea

Explanation: Ans. is 'd' i.e. diarrhoea Causes of High anion gap acidosisLactic acidosisToxinsEthylene glycolMethanolSalicylatesRenal failureKetoacidosisDiabetesAlcoholStarvation